Microorganism which causes pyogenic osteomyelitis is ?
1. Streptococcus
2. Staph aureus
3. Corynebacterium
4. Neisseria gonorrhoeae

Correct answer: 2. Staph aureus

Explanation: Staphylococcus aureus causes 80-90% of cases of acute pyogenic osteomyelitis. S aureus has a receptor for collagen, which contributes to its pathogenicity. Other organisms that cause osteomyelitis include: Escherichia coli and Pseudomonas in intravenous drug users and patients with urinary tract infections. Haemophilus influenzae and Group B Streptococcus in neonates. Salmonella in patients with sickle cell disease. REF : Maheshwari book of orthopedics 6th Ed.